Which of the following is associated with a choking device?
1. Pistol
2. Revolver
3. Shot gun
4. Sports rifle

Correct answer: 3. Shot gun

Explanation: Choking is a constricting device present at the muzzle end of a shot gun. The purpose of choking is to lessen the rate of spread of shot after it leaves the muzzle, increase the explosive force and increase the velocity. Different degrees of choke are there like full choke, three quarter choke, half choke, quarter choke and improved cylinder.